In utero infecion leads to which immunoglobulin?
1. IgG
2. IgA
3. IgM
4. IgD

Correct answer: 3. IgM

Explanation: IgM antibodies do not pass across the human placenta .Demonstrating IgM antibodies in a patient's serum indicates recent infection, or in a neonate's serum indicates intrauterine infection. Ref: Ananthanarayan & Panikers textbook of microbiology 9th edition pg:99